Coarctation of aorta is associated with -
1. TAPVC
2. Bicuspid aortic valve
3. PDA
4. None

Correct answer: 2. Bicuspid aortic valve

Explanation: Ans. is 'b' i.e., Bicuspid aortic valve Although coarctation of Aorta may occur as a solitary defect it is accompanied by ? o Bicuspid aortic valve in 50% cases and may be associated with :? Congenital Aortic stenosis, ASD, VSD, mitral regurgitation and Berry aneurysm of the circle of willis.